K+ sparing diuretic is :
1. Furosemide
2. Spironolactone
3. Thiazide
4. None

Correct answer: 2. Spironolactone